Most common part of larynx involved in TB -
1. Anterior
2. Posterior
3. Middle
4. Anywhere

Correct answer: 2. Posterior

Explanation: Ans. is 4b' i.e., Posterior o Disease affects the posterior third of larynx more commonly than anterior part.o The parts affected in descending order of frequency are i) Interarytenoid fold, ii) Ventricular band, iii) Vocal cords,iv) Epiglottis.o Also see above explanation.